When a partial denture is replacing one entire half of dentition and retentive areas are present adjacent to each other, which of the following clasps are indicated
1. Multiple clasp
2. Embrasure clasp
3. Hairpin clasp
4. Onlay clasp

Correct answer: 1. Multiple clasp

Explanation: The multiple clasp is simply two opposing circumferential clasps joined at the terminal end of the two reciprocal arms. It is used when additional retention and stabilization are needed, usually on tooth supported partial dentures. It may be used for multiple clasping in instances, in which the partial denture replaces an entire half of the dental arch.
It may be used rather than an embrasure clasp, when the only available retentive areas are adjacent to each other.